Which type of immune responses responsible for caseation necrosis in TB?-
1. Cell-mediated immunity
2. Antibody mediated reaction
3. Allergic reaction
4. Immune complexes

Correct answer: 1. Cell-mediated immunity

Explanation: Type 4 or delayed hypersensitivity or T cell mediated reaction is an immune response without formation of antibodies but is instead a slow and prolonged response .examples:reaction against mycobacterium infection ,virally infected cell,malignant cells and organ transplantation.Harshmohan textbook of pathology 7th edition